Dose of vitamin A during pregnancy -
1. 600 mg
2. 800 mg
3. 950 mg
4. 350 mg

Correct answer: 2. 800 mg

Explanation: During pregnancy recommended allowance of vitamin A is 800mcg . REF. PARK'S TEXTBOOK OF PREVENTIVE AND SOCIAL MEDICAL 21ST EDITION. PAGE NO - 616